Proximal muscle weakness is not a feature of
1. Polymyositis
2. Myotonic dystrophy
3. Becker's muscular dystrophy
4. Duchene's muscular dystrophy

Correct answer: 2. Myotonic dystrophy

Explanation: In Myotonic dystrophy the Muscles affected are Face(including ptosis), sternocleidomastoids, distal limb, generalised later. In all other above mentioned options the proximal muscles are affected. Reference : Harrison20th edition pg 2278